C-shaped curve on tympanometry is seen in
1. Serous otitis media
2. Otosclerosis
3. TM perforation
4. Eustachian tube obstruction

Correct answer: 4. Eustachian tube obstruction

Explanation: Type C: Max compliance occurs with negative pressure in excess of 100mm H2O Seen in retracted TM Also some fluid present in the middle ear. Ref: Dhingra; 6th Edition; pg no 24